On per vaginal examination, anterior fontanelle and supraorbital ridge is felt in the second stage of labor. The presentation is:
1. Brow presentation
2. Defiexed head
3. Flexed head
4. Face presentation

Correct answer: 1. Brow presentation

Explanation: Ans. is a, i.e. Brow presentationRef. Dutta Obs. 9/e, p 367Palpation on per vaginal examinationPresentation* Occiput and posterior fontanelle (Anterior fontanelle not felt easily)Vertex (Occipitoanterior position)* Both fontanelle felt easilyVertex (Occipito-posterior position)* Anterior fontanelle (bregma) is felt at one end and root of nose (nasion) and orbital ridges at the other end of an oblique or transverse diameterBrow* Mouth with hard alveolar margins with nose, malar eminence, superior orbital ridges and mentumFaceAlso Know:Face and Breech are often confused on palpationOn palpation, difference between face and breech presentations:FaceBreech* Mouth and malar eminences form a triangle* Alveolar margins hard* Sucking effect of mouth* No meconium staining* Ischial tuberosities and anus are in a line* Anal margins soft* Grip of anal sphincter* Meconium staining on finger